A patient has total cholesterol 300, TG 150, and HDL 25. What would be the LDL value? (All values in mg/dL)
1. 245
2. 125
3. 55
4. 35

Correct answer: 1. 245

Explanation: Ans. A. 245According to Friedewald's equation to calculate LDL-CLDLC=TC-HDLC-TG/5=300-25-150/5=245Also remember VLDL-C=TG/5